Ovulation can be diagnosed by all except
1. Measuring day 14 serum progesterone
2. Rise in basal body temperature in the second half of cycle
3. Study of cervical mucus
4. Endometrial histology

Correct answer: 1. Measuring day 14 serum progesterone

Explanation: Tests for ovulation: Basal body temperature, Endometrial biopsy, Fern test, and ultrasound.
But plasma concentration of progesterone rises only after ovulation and reaches its the peak of 15ng/ml by mid-luteal phase.